Akathisia is treated by
1. Haloperidol
2. Fluoxetine
3. Propranolol
4. Lithium

Correct answer: 3. Propranolol

Explanation: (Refer: Harrison's Principles of Internal medicine, 18th edition, pg no - 3544)